Which of the following is an antipseudomonal penicillin?
1. Piperacillin
2. Amoxycillin
3. Oxacilline
4. Nafcillin

Correct answer: 1. Piperacillin

Explanation: Piperacellin is an antipseudomonalpenicillin and is an extended spectrum beta-lactam antibiotic of the ureidopenicillin class. Ref: KDT, 6th Edition, Pages 696-702; Advances in Ampicillin Research And Application, 2011 Edition, Page 27